True about anterior intercostal artery are all except?
1. Two in each intercostal space
2. Branch of internal thoracic artery
3. Branch of musculophrenic artery
4. Main artery of intercostal space

Correct answer: 4. Main artery of intercostal space

Explanation: Arterial supply of chest wallEach of upper nine intercostal spaces (1 to 9) have one posterior and two anterior intercostal arteries. The 10th and 116 spaces have one posterior intercostal artery (no anterior intercostal artery)Posterior intercostal artery is the main artery of intercostal space and runs in the costal groove along the upper border of an intercostal space, lying between posterior intercostal vein and intercostal nerve (relationship from above downward VAN). 1 st and 2nd posterior intercostal arteries are branches of superior intercostal artery (a branch of costocervical trunk from 2"d part of subclavian artery). Lower nine (3th to 11th) posterior intercostal arteries are branches of descending thoracic aorta. Right posterior intercostal arteries are longer than the left.Anterior intercostal arteries for upper six spaces (two in each space) arise from internal thoracic or internal mammary artery. For 7th to 9th spaces, these are branches of musculophrenic artery (terminal branch of internal thoracic artery).